The drug of choice for the treatment of Thyrotoxicosis during pregnancy is
1. Carbimazole
2. Iodine therapy
3. Propyl Thiouracil
4. Metimazole

Correct answer: 3. Propyl Thiouracil

Explanation: (C) Propyl Thiouracil # All antithyroid drugs can cross placenta so risk of fetal hypothyroidism and goitre is always there.> Both carbimazole and propylthiourcil can be used during pregnancy, but propyl-thiouracil is the drug of choice because its greater protein binding allows low doses of propylthioracil to be transferred across the placenta and therefore less chance of hypothyroidism.> Lowest effective dose of propyl thiouracil should be given and it is often possible to stop treatment in the last trimester since TSH Receptor antibodies tend to decline in pregnancy.> Radioactive iodine is C/l during pregnancy> It can destroy the fetal thyroid tissue resulting in cretinism> Carbimazole and methimazole have been associated with rare cases of foetal aplasia cutis.